Where does the "knot" is put in the neck during judicial hanging?
1. The back of the neck
2. Under angle of jaw
3. Below the chin
4. Choice of hangman

Correct answer: 2. Under angle of jaw

Explanation: In judicial hanging, a rope to allow a drop of five to seven metres according to the weight, build and age of the person, is looped round the neck, with the knot under the angle of the jaw. This causes fracture-dislocation usually at the level of the second and third, or third and fourth cervical vertebrae. Ref: The essentials of forensic medicine and toxicology by Dr K S Narayan Reddy, 27th edition, Page 306.